Charcot's artery is -
1. Medial striate branch of anterior cerebral artery
2. Striate branch of middle cerebral artery
3. Fronto-polar artery
4. Calloso-marginal artery

Correct answer: 2. Striate branch of middle cerebral artery

Explanation: Ans. is 'b' i.e., Striate branch of middle cerebral artery One of the larger striate branches of the middle cerebral artery is known as "Charcot's artery of cerebral hemorrhage".Also knowo Medial striate artery (a branch of anterior cerebral artery) is known as recurrent artery of Heubner.